Bitots spots are seen in:
1. Vitamin D deficiency
2. Vitamin A deficiency
3. Vitamin E deficiency
4. Vitamin B6 deficiency

Correct answer: 2. Vitamin A deficiency

Explanation: Ans. B i.e. Vitamin A deficiency